Predisposing factors of carcinoma endometrium are all EXCEPT
1. Obesity
2. Late menopause
3. Multiparity
4. Unopposed administration of estrogen

Correct answer: 3. Multiparity

Explanation: (Multiparity) (573-74-Shaw's 14th)Multiparity is common in carcinoma cervix, while carcinoma of endometrium women are either nulliparous or of low parityPredisposing Factors in Carcinoma Endometrium* Peak incidence is 55-70 years* An Early menarche and late menopause is characteristic* Unopposed and unsupervised administration of HRT* Chronic non ovulatory cycles as seen in DUB* Familial predisposition - Familial Lynch II syndrome* Tamoxifen given to women with breast cancer increases the risk of endometrial hyperplasia* Combined oral hormonal pills* Obesity hypertension and diabetes* Infertile women and women with polycystic ovarian disease* Feminizing ovarian tumour at the time of diagnosis* The risk of endometrial carcinoma is the highest with the following complex hyperplasia with atypia** histological pattern of endometrial hyperplasia (about 28%)***